B-cells are dispersed in which part of spleen?
1. White pulp
2. Red pulp
3. Capsule
4. None

Correct answer: 1. White pulp

Explanation: Ans. is 'a' i.e., White pulp